In calculating RDA for a particular nutrient, 2 SD are not added for
1. Iron
2. Calcium
3. Energy
4. Vitamin A

Correct answer: 3. Energy

Explanation: Recommended Dietary Allowance (RDA): Is a level of intake corresponding to Mean + 2 Standard Deviation, which covers requirement of 97.5 % of population

RDA is safe level of intake which is likely to be inadequate in not more than 2.5 % population
RDA 'safe level approach' is NOT USED FOR ENERGY since excess energy intake is undesirable; For energy only mean or average requirement is defined as RDA.